Nucleus involved in Alzheimer's disease is:
1. Nucleus Basalis of Meyne
2. Superior salivary nucleus
3. Ventromedial nucleus of thalamus
4. All of the above

Correct answer: 1. Nucleus Basalis of Meyne

Explanation: The brain of Alzheimer's disease patients shows severe neuronal loss in the nucleus basalis of Meyne. This pa is the major source of cholinergic input to cerebral cortex.